Order of disease is
1. a) Impairment (I) — Disability(D) — Handicap (H)
2. D — H — I
3. D — I — H
4. H — D — I

Correct answer: 1. a) Impairment (I) — Disability(D) — Handicap (H)